A person had an accident and came to casualty with contusion on left precordium. There was decrease in breath sounds on left side, trachea deviated to right side and normal heart sounds. Which of the following is the first line of management?
1. Needle thoracocentesis
2. Chest tube thoracocentesis
3. Pericardiocentesis
4. Open surgery

Correct answer: 1. Needle thoracocentesis

Explanation: Ans. (a) Needle Thoracocentesis* History is clearly indicative of Tension Pneumothorax- hence urgent need is Thoracocentesis at 2nd ICS. MCL.